Which of the following vitamin is metabolically produced by the body?
1. Biotin
2. Vitamin K
3. Niacin
4. Pyridoxine

Correct answer: 3. Niacin

Explanation: Essential amino acid tryptophan can be converted into Niacin (B3) in our body (60 mg tryptophan = 1 mg Niacin). As, it can be synthesised in the body by metabolism, strictly speaking, Niacin is not a Vitamin.